Thumb printing is characteristic of -
1. Crohn' s disease
2. Ischemic colitis
3. LGV
4. Ulcerative colitis

Correct answer: 2. Ischemic colitis